Characterstic nail finding in lichen planus
1. Pitting
2. Pterygium
3. Beau's Lines
4. Hyperpigmentation of nails

Correct answer: 2. Pterygium

Explanation: B i.e. Pterygium